Clitoris develops from?
1. Genital tubercle
2. Genital ridge
3. Wolffian duct
4. Mullerian duct

Correct answer: 1. Genital tubercle

Explanation: Ans. a (Genital tubercle). (Ref. Williams Obstetrics 22nd /Chapter 2. Pg. 33)CLITORIS# Clitoris develops from genital tubercle.# It is an female erectile organ, homologus with penis and is located near the superior extremity of the vulva.# It is not traversed by urethra.# It projects downward between the branched extremities of the labia minora.# It is composed of a glans, a corpus, and two crura, Corpus spongiosum is absent.# The glans is made up of spindle-shaped cells, and in the body there are two corpora cavernosa, in the walls of which are smooth muscle fibers.# The clitoris rarely exceeds 2 cms in length.# Its free end which is pointed downward and inward toward the vaginal opening is formed by round tubercle called glans clitoris, highly sensitive for sexual response.# The glans is covered by stratified squamous epithelium that is richly supplied with free nerve endings.# Tactile discs are found in abundance in these areas.Additional educational point:# The round ligament corresponds embryologically to the (distal) gubernaculum testis of men.